Which of the following is a subjective test in the assessment of hearing?
1. BERA
2. Impedence audiometry
3. Pure tone audiometry
4. Oto acoustic emission

Correct answer: 3. Pure tone audiometry

Explanation: Pure tone audiometry is a subjective test used in the assessment of hearing in a patient presenting with impairment in hearing. Pure tone audiometry: It is a subjective, behavioural measurement of hearing threshold enabling determination of degree, type, and configuration of any hearing loss. The test can provide both bone and air conduction threshold. The frequency range tested includes 250Hz to 8kHz. The threshold of lower limit of normal is considered to be 20dB. 30dB equates to the threshold of a whispered voice at 2 feet from the ear, 60dB a conversational voice, and 100dB a pneumatic drill in the street.